All are causes of pulmonary hypertension except?
1. Hyperventilation
2. Morbid obesity
3. High altitude
4. Fenfluramine

Correct answer: 1. Hyperventilation

Explanation: Answer is A (Hyperventilation): Pulmonary hypertension may be caused by hypo ventilation but not by hyperventilation. Chronic exposure to high altitude sleep disordered breathing due to obesity and anorexic agents including fenfluramine are known causes of pulmonary hypertension. Clinical Classification of Pulmonary Hypertension 1. Pulmonary arterial hypertension (PAH) Idiopathic (IPAH)(formerly PPH) Familial (FPAH) Associated with (APAH) - Collagen vascular disease - Congenital systemic-to-pulmonary shunts - Portal hypertension - HIV infection - Drugs and toxins (including fenfluramine) - Other (thyroid disorders, glycogen storage disease, Gaucher disease, hereditary hemorrhagic telangiectasia, hemoglobinopathies, myeloproliferative, disorders, splenectomy) Associated with significant venous or capillary involvement - Pulmonary veno-occlusive disease (PVOD) - Pulmonary capillary hemangiomatosis (PCH) - Persistent pulmonary hypertension of the newborn 2. Pulmonary hypertension with left heart disease Left-sided atrial or ventricular heart disease Left-sided valvular heart disease 3. Pulmonary hypertension associated with lung diseases and/or hypoxemia Chronic obstructive pulmonary disease Interstitial lung disease Sleep-disordered breathing Alveolar hypoventilation disorders Chronic exposure to high altitude Developmental abnormalities 4. Pulmonary hypertension due to chronic thrombotic and/or embolic disease Thromboembolic obstruction of proximal pulmonary arteries Thromboembolic obstruction of distal pulmonary arteries Nonthrombotic pulmonary embolism (tumor, parasites, foreign material) 5. Miscellaneous Sarcoidosis, histiocytosis X, lymphangiomatosis, compression ofpulmonary vessels (adenopathy, tumor, fibrosing mediastinitis) A causal relationship has been established between exposure to several anorexigens including aminorex and the fenfluramines and the development of PAH-Harrison